Commonest cause of otogenic meningitis is:
1. Streptococcus pneumoniae
2. H. influenza
3. Pseudomonas
4. E. coli

Correct answer: 1. Streptococcus pneumoniae

Explanation: (a) Streptococcus pneumoniae(Ref. Cummings, 6th ed., 2171)MC cause of otogenic meningitis was H. influenzae but after the introduction of Hib vaccine in the universal immunisation programme, it is Streptococcus pneumoniae now.